Which of the following is the MOST common type of female pelvis?
1. Gynecoid
2. Anthropoid
3. Android
4. Platypelloid

Correct answer: 1. Gynecoid

Explanation: Gynecoid is the most common type of female pelvis. In this type of pelvis the inlet is oval or round. In the midpelvis, sides of the pelvis are straight and the spines are not prominent. At the outlet the pubic arch is wide and the sacrum is neither inclined anteriorly nor posteriorly. The configuration of this type of pelvis suits well for the delivery of the fetus. According to Caldwell and Moloy's classification, pelvic shapes are classified as: Gynecoid Android Anthropoid Platypelloid Ref: Clinical Obstretics (10Th Edn.) By S. Gopalan page 7, Cunningham F.G., Leveno K.J., Bloom S.L., Hauth J.C., Rouse D.J., Spong C.Y. (2010). Chapter 2. Maternal Anatomy. In F.G. Cunningham, K.J. Leveno, S.L. Bloom, J.C. Hauth, D.J. Rouse, C.Y. Spong (Eds), Williams Obstetrics, 23e.